Curvature of cornea can be measured by –
1. Keratometry
2. Direct ophthalmoscopy
3. Retino scopy
4. Perimetry

Correct answer: 1. Keratometry